Mad Cow Disease has been highly publicized in Great Britain. This disease, which is similar to scrapie, is caused by
1. A prion
2. A virus
3. Rickettsiae
4. An autoimmune reaction

Correct answer: 1. A prion

Explanation: Mad Cow Disease is related to both scrapie in sheep and bovine spongiform encephalopathy virus. The fear in Great Britain is the potential for acquiring Creutzfeldt-Jakob disease, which is a slowly progressive neurodegenerative disease. Theoretically, such acquisition could be through ingestion of beef from infected cows. A prion consists of protein material without nucleic acid. While related to a virus, a prion is a proteinaceous infectious particle that replicates within cells.